Capillary invasion of corpus luteum begins
1. One day after ovulation
2. 2 days after ovulation
3. 3 days after ovulation
4. 4 days after ovulation

Correct answer: 2. 2 days after ovulation

Explanation: Capillary invasion begins 2 days after ovulaton and reaches center of corpus luteum by 4th day.